True about leiomyomas effect on estrogen is
1. Create hypoestrogenic environment
2. Have less density of estrogen receptors
3. Increased conversion of androgen to estrogen
4. Convert more estradiol to weaker estrone.

Correct answer: 3. Increased conversion of androgen to estrogen

Explanation: Fibroid have high density of estrogen receptors, thereby create Hyperestrogenic state, These tumors convert less estradiol to the weaker estrone.